All are features of hemolytic anaemia except -
1. Thrombocytopenia
2. Hemosiderinuria
3. Decreased haptoglobin
4. Raised indirect bilirubin

Correct answer: 1. Thrombocytopenia

Explanation: In hemolytic anemia , serum bilirubin (indirect) is raised, serum haptoglobin(alpha globulin binding protein )i s reduced or absent .

There will be evidence of intravascular hemolysis in the form of hemoglobinuria, hemosiderinuria.There is no evidence of thromboctopenia in hemolytic anemia.

Reference : Harsh mohan textbook of pathology 6th edition pg no 311.